Joint erosion, not a feature in
1. SLE
2. Gout
3. Rheumatoid arthritis
4. Posriasis

Correct answer: 1. SLE

Explanation: Most people with SLE have intermittent polyarthritis, varying from mild to disabling, characterized by soft tissue swelling and tenderness in joints, most commonly in hands, wrists, and kneesJoint deformities (hands and feet) develop in only 10% of patients(Refer: Oxford Textbook of Rheumatology, 4th edition)